Poisoning with all the following causes constriction of the pupils except:
1. Dhatura
2. Morphine
3. Organophosphorus compounds
4. Pontine hemorrhage

Correct answer: 1. Dhatura

Explanation: A i.e. Dhatura In aconite poisoning pupils alternatively contract & dilate (hippus) but remain dilated in later stages.Q In Barbiturate the pupils are constrict but respond to light & in terminal stage becomes dilated.